All of the following are risk factors for deep vein thrombosis (DVT) except -
1. Duration of surgery more than thirty minutes
2. Obesity
3. Age less than forty years
4. Use of the oestrogen-progesterone contraceptive pills

Correct answer: 3. Age less than forty years